Autoimmune thyroiditis is seen with?
1. Down syndrome
2. Marfan syndrome
3. Loiusbarr syndrome
4. Edward syndrome

Correct answer: 1. Down syndrome

Explanation: Ans. (a) Down SyndromeRef: Robbin's pathology 9th ed. /161Autoimmune Thyroiditis is Seen with* Down syndrome* Turner syndrome* Congenital rubella syndrome# Autoimmune thyroiditis is not seen with Marfan's Syndrome.# LouisBarr syndrome is known as ataxia telangiectasia. It characterised by deficiency of IgA with increased incidence of lympho-reticular malignancy.# Edward syndrome is eighteen trisomy which is characterised by clenched hand and overlapping of fingers where the index finger of the neonate overlaps third finger and fifth finger overlaps the fourth finger.